Autosomal dominant Polycystic kidney disease is associated with aneurysm -
1. Fusiform aneurysm of abdominal aorta
2. Ascending aorta
3. Descending aorta
4. Berry aneurysm

Correct answer: 4. Berry aneurysm

Explanation: ADPKD- Intracranial aneurysms occur four to five times more frequent than in the general population . About 20-50%of patients may experience warning headaches preceding the index episode of subarachnoid hemorrhage due to ruptured ICA . Other vascular abnormalities in ADPKD patients include diffuse arterial dolichoectasias of the anterior and posterior cerebral circulation which can predispose to arterial dissection and stroke. mitral valve prolapse occurs up to 30% of patients with ADPKD and tricuspid valve prolapse is less common . The prevalence of abdominal wall hernias and colonic diverticula are also increased . Ref:Harrison 20 th edition pg no 2153